Which of the following is not a structural gene of HIV -
1. Gag
2. Polio
3. ENV
4. Tat

Correct answer: 4. Tat

Explanation: tat is a nonstructural and regulatory gene of HIV REF:ANANTHANARAYANAN TEXT BOOK OF MICROBIOLOGY 9EDITION PGNO.572